Which of the following malocclusions are more prone to fracture of incisors
1. Class I Crowding
2. Class II Div. 1
3. Class II Div 2
4. Class III

Correct answer: 2. Class II Div. 1